A lady while driving a car meets with an accident. She was admitted in an ICU for 6 months. After being discharged she often gets up in the night and feels terrified. She is afraid to sit in a car again. The diagnosis is :
1. Anxiety disorder
2. Phobia
3. Conversion disorder
4. Post traumatic stress disorder

Correct answer: 4. Post traumatic stress disorder

Explanation: Information in this question is :

A traumatic event involving the threat of life or injury (car accident).
Nightmares (gets up in the night & feels terrified).
Avoidance (afraid to sit in a car again → avoiding to sit in a car).

Diagnosis is PTSD.